Intermittent proptosis is seen in?
1. Orbital tumor
2. Orbital cellulitis
3. Orbital varices
4. Cavernous sinus thrombosis

Correct answer: 3. Orbital varices

Explanation: ANSWER: (C) Orbital varicesREF: Khurana 4th ed p. 381Causes of intermittent proptosis:Orbital varicesPeriodic orbital edemaRecurrent orbital hemmorrhageHighly vascular tumor